The main driving force for water reabsorp on by the proximal tubule epithelium is
1. Active reabsorp on of amino acids and glucose
2. Active reabsorp on of Na+
3. Active reabsorp on of water
4. Pinocytosis

Correct answer: 2. Active reabsorp on of Na+